Dalen fuchs nodule is pathognomic of?
1. Sympathetic opthalmitis
2. Sarcoidosis
3. Tuberculosis
4. Retinitis pigmentosa

Correct answer: 1. Sympathetic opthalmitis

Explanation: ANSWER: (A) Sympathetic opthalmitisREF: Khurana 4th ed p. 413Dalen fuchs nodule is collections of epithelial cells lying between Bruch membrane and the retinal pigment epithelium in sympathetic ophthalmitis